All are true about propofol except
1. Plesant sedation & recovery
2. Safe in porphyria
3. Antiemetic effect
4. Cardiac stimulant

Correct answer: 4. Cardiac stimulant

Explanation: D i.e. Cardiac stimulant